Nucleus pulposus is derived from -
1. Sclerotome
2. Myotome
3. Notochord
4. None

Correct answer: 3. Notochord

Explanation: Ans. is 'c' i.e., Notochord Development of vertebral column o The human nervous system develops from neuroectoderm. o During development, behind the neuroectoderm lies the mesoderm (paraxial mesoderm) that encloses the notochord (a derivative of endoderm). o This paraxial mesoderm give rise to somites, o Somites further differentiated into i) Dermatomyotome:- Give rise to skeletal muscles and dermis. ii) Sclerotomes:- Give rise to the vertebral column. o Sclerotomes which surround notochord starts projecting posteriorly (dorsally) to surround neural tube and forms. Ventral sclerotomes :- Give rise to the vertebral body and annulus Jibrosus. Lateral sclerotomes :-Give rise to vertebral arch (pedicle and lamina). Dorsal sclerotomes :-Give rise to the spinous process. o The notochord forms the nucleus pulposus.